Syndrome characterized by an elaborate delusion that the patient is passionately loved by another person is also known as:
1. Ekbom's syndrome
2. De Clerambault's syndrome
3. Querulous paranoia
4. Othello syndrome

Correct answer: 2. De Clerambault's syndrome

Explanation: Ans. De Clerambault's syndrome